Which of the following is not involved in Wernicke's Korsakoff psychosis
1. Mamillary body
2. Thalamus
3. Periventricular Grey matter
4. Hippocampus

Correct answer: 4. Hippocampus

Explanation: Harrison's principles of internal medicine 17th edition. Pathology: preventricular lesions surround the 3rd ventricles,aqueduct and 4th ventricle; atrophy of mammillary bodies;amnestic defect is related to lesions in dorsal medial nuclei of thalamus.